Area under mean +/- 2 SD will include ------------% of population.
1. 99%
2. 95%
3. 68%
4. 50%

Correct answer: 2. 95%

Explanation: (Refer: K. Park’s Textbook of Preventive and Social medicine, 24th edition, pg no:886 )
Normal distribution

Gaussian / Standard distribution
Symmetric with respect to same mean, median & mode & frequencies tapers off rapidly and symmetrically on both sides